Human intestinal glands contain ___
1. Paneth cells
2. Neuroendocrine cells
3. Stem cells
4. All of the above

Correct answer: 4. All of the above

Explanation: In histology, an intestinal gland (also crypt of Lieberkuhn and intestinal crypt) is a gland found in between villi in the intestinal epithelium lining of the small intestine and large intestine (or colon). The glands and intestinal villi are covered by epithelium, which contains multiple types of cells: enterocytes (absorbing water and electrolytes), goblet cells (secreting mucus), enteroendocrine cells (secreting hormones), cup cells, tuft cells , and at the base of the gland, Paneth cells (secreting anti-microbial peptides) and stem cells. Ref - medscape.com